Necrotizing granulomatous inguinal lymphadenopathy is caused by -a) Syphilisb) Granuloma inguinalec) Sarcoidosisd) Tuberculosis
1. ad
2. c
3. ac
4. ab

Correct answer: 1. ad